Burns with vesiculation, destruction of the epidermis and upper dermis is
1. 1st degree
2. 2nd degree
3. 3rd degree
4. 4th degree

Correct answer: 2. 2nd degree